In the lungs bronchial arteries supply the bronchopulmonary tree
1. Till tertiary bronchi
2. Till segmental bronchi
3. Till respiratory bronchioles
4. Till alveolar sacs

Correct answer: 3. Till respiratory bronchioles

Explanation: Bronchial artery supplies the bronchial tree till respiratory bronchiole. BD CHAURASIA'S HUMAN ANATOMY VOLUME 1. 6TH EDITION.page no.242 fig 16.9